Commonest site of lung abcess is-
1. Post segment of right upper lobe
2. Lingula
3. Post segment of left lower lobe
4. Post segment of right lower lobe

Correct answer: 1. Post segment of right upper lobe